Cleft lip, polydactyly, Holoprosencephaly are characteristic feature of?
1. Down syndrome
2. Edward syndrome
3. Patau syndrome
4. Turners syndrome

Correct answer: 3. Patau syndrome

Explanation: Patau syndrome is due to trisomy 13.